Amount of Protein present in 100 ml of breast milk is:
1. 2.2 g
2. 1.1 g
3. 0.55g
4. 3.3g

Correct answer: 2. 1.1 g

Explanation: Ref: Vishnu Bhat's Protein Energy Malnutrition. 1st ed, PEEP EE, Page: 51Explanation:Nutritional values of various milkMilk sourceQuantityEnergy (Kcal)Protein (g)Cow100 ml673.3Buffalo100 ml1174.3Goat100 ml723.7Human100 ml651.1